Tear film is absent in
1. Herpes keratitis
2. Keratoconjunctivitis sicca
3. Dacryoadenitis
4. Acute conjunctivitis

Correct answer: 2. Keratoconjunctivitis sicca

Explanation: Keratoconjunctivitis sicca is deficiency of the aqeous layer of tear film REF:Khurana 6th edition page number 366